ABO incompatibility is an example for
1. Type-I HSN reaction
2. Type-II HSN reaction
3. Type-III HSN reaction
4. Type-IV HSN reaction

Correct answer: 2. Type-II HSN reaction

Explanation: Type 2 HSN

Transfusion reaction.
Erythroblastosis fetalis.
Grave's disease.
Myasthenia gravis.